All of the following are seen in Rickets except -
1. Bow legs
2. Gunstock deformity
3. Pot belly
4. Craniotabes

Correct answer: 2. Gunstock deformity

Explanation: Ans. is 'b' i.e., Gustock deformityo Gunstock deformity is seen in malunited supracondylar fracture of humerus.Note ?o Dont get confuse between option 'a' and answer of previous question. In this question the age of the child has not been mentioned. Bow legs can occur, once the child starts walking.